All are the causes of a non-healing corneal ulcer except:
1. Raised intraocular pressure
2. Associated iridocyclitis
3. Chronic dacryocystitis
4. Diabetes mellitus

Correct answer: 2. Associated iridocyclitis

Explanation: Ans. Associated iridocyclitis